What will be the BMI of a male whose weight is 89 kg and height is 172 cms?
1. 27
2. 30
3. 33
4. 36

Correct answer: 2. 30

Explanation: Body Mass Index/ Quetelet's index = Weight in kg/(height)2 in m2 =89/ (1.72)2 = 30 Nutritional status based on the WHO and "Asian Criteria" values Nutritional Status WHO criteria BMI cut - off "Asian criteria "BMI cut - off Underweight <18.5 <18.5 Normal 18.5-24.9 18.5-22.9 Overweight 25-29.9 23-24.9 Pre-Obese - 25-9.9 Obese > 30 > 30 Obese Type 1 (obese) 30-40 30-40 Obese type type 2 (morbid obese) 40.1-50 40.1-50 Obese type 3 (super obese) >50 >50